How many osseous walls are present in one walled  vertical defects?
1. One wall present
2. Two walls present
3. There walls present
4. Four walls present

Correct answer: 1. One wall present